Rigor mortis in a foetus develops after attaining:
1. 3 months of age
2. 4 months of age
3. 7 months of age
4. 10 months of age

Correct answer: 3. 7 months of age

Explanation: C i.e. 7 months of age